Certain species are invariably found at certain locations, this phenomenon is called as:
1. Resident flora.
2. Transient flora.
3. Tissue tropism.
4. None

Correct answer: 3. Tissue tropism.

Explanation: Certain septicies are invariably found at certain locations. This phenomenon is called Tissue tropism. The normal microbial flora which are present constantly are called resident floral and which change frequently are called Transient flora